RCH programme includes-
1. CSSM plus school health
2. CSSM plus family planning
3. CSSM plus ORS
4. None

Correct answer: 2. CSSM plus family planning

Explanation: CSSM plus family planning. Reference:Park's textbook of preventive and social medicine,K.Park,23rd edition,page no:453.